Final product in anaerobic glycolysis
1. Pmyruvate
2. Acetyl CoA
3. Lactate
4. Oxaloacetate

Correct answer: 3. Lactate

Explanation: In glycolysis; During anaerobic (oxygen deficient) condition, when one molecule of glucose is converted into 2 molecules of lactate, there is a net yield of 2 molecules of ATP. (refer,table:9.4)Ref: DM Vasudevan, 7th edition, page no: 112